Gynaecological cancer unusual in young women:
1. Cancer ovary
2. Cancer cervix
3. Cancer vulva
4. Choriocarcinoma

Correct answer: 3. Cancer vulva

Explanation: Cancer vulva